which of the following is a Bone resorption marker is ?
1. Serum propeptide of type I procollagen
2. Osteocalcin
3. Urine total free deoxypyridinoline
4. Free glutamic acid cross linkage

Correct answer: 3. Urine total free deoxypyridinoline

Explanation: Deoxypyridinoline (DPD) in urine, which reflects systemic bone resorption, is considered most useful for assessing the effects of osteoporosis treatment. osteocalcin, Serum type 1 procollagen are bone formation markers ref : maheswari book of orthopedics 9th ed